All of the following are essential criteria for defining perinatal asphyxia EXCEPT?
1. Persistence of APGAR score of 5-7 for >5 minutes
2. Prolonged umbilical arterial blood pH <7.0
3. Presence of neurological manifestations in the immediate neonatal period
4. Evidence of multiorgan dysfunction in the immediate neonatal period

Correct answer: 1. Persistence of APGAR score of 5-7 for >5 minutes

Explanation: Essential criteria for defining perinatal asphyxia include: Persistence of APGAR score of 0-3 for >5 minutes Prolonged acidemia (pH <7.0) on an umbilical arterial blood sample Neurological manifestations, e.g. seizures, coma, hypotonia or hypoxic ischemic encephalopathy (HIE) in the immediate neonatal period Evidence of multiorgan dysfunction in the immediate neonatal period